In epidemic, 1st step is:
1. Verification of diagnosis
2. Isolation
3. Immunization
4. Notification

Correct answer: 1. Verification of diagnosis

Explanation: Verification of diagnosis